Acrodermatitis enteropathica - is due to deficiency of ?
1. Selenium
2. Copper
3. Zinc
4. Iron

Correct answer: 3. Zinc

Explanation: Ans. is 'c' i.e., Zinc Keshan disease Cardiomyopathy associated with selenium deficiency. Wilson disease Autosomal recessive. Defective metabolism of copper leads to copper toxicity. Deficiency of ceruloplasmin. Presence of KF ring in cornea. Acrodermatitis enteropathica Deficiency of zinc. Dermatitis of extremities & around orifices.